Strangury means?
1. Painless terminal haematuria
2. Painful haematuria
3. Extreme wretching sensation at the end of micturation causing distress
4. Pain during micturation

Correct answer: 3. Extreme wretching sensation at the end of micturation causing distress

Explanation: Ans: c (Extreme wretching sensation at the end of micturation) Ref: S. Das, p. 339Strangury - Painful frequent attempts at micturation but passing only a small quantity each timeConditions:* Stone impacted in the lower end of the ureter & stone in the bladder (most common)* Inflammatory conditions in the neighborhood of the bladder and ureter such as retrocaecal appendicitis, pelvic appendicitis & pelvic peritonitisTenesmus - Ineffectual straining at stool with passage of mucous and bloodCauses:* Pelvic appendicitis or pelvic abscess, irritation of rectum